Typical appearance of diabetic cataract is -
1. Sunflower type
2. Breadcrumb type
3. Polychromatic lusture
4. Snow flake appearance

Correct answer: 4. Snow flake appearance

Explanation: In diabetic cataract, initially a large number of fluid vacuoles appear underneath the anterior and posterior capsules, which is soon followed by appearance of bilateral snowflake-like white opacities in the cortex. REF IMG